True statement about ASOM is:
1. Most frequently it resolves without sequelae
2. Commonly follows painful parotitis
3. Radical mastoidectomy is required for treatment
4. Most common organism is Pseudomonas

Correct answer: 1. Most frequently it resolves without sequelae

Explanation: (a) Most frequently it resolves without sequelae(Ref. Scott Brown, 8th ed., Vol 2; 141)ASOM usually resolves completely without complications.ASOM commonly follows infection in the naso or oro-pharynx via Eustachian tube.Most common organism causing ASOM isStreptococcus pneumoniae.Myringotomy may be required to be done in ASOM.